All of the following proteins synthesised by free-ribosomes, EXCEPT
1. Proteins that remain in cytosol
2. Lysosomal enzymes
3. Mitochondrial proteins
4. Peroxisomal enzymes

Correct answer: 2. Lysosomal enzymes

Explanation: Cytosolic ribosomes synthesize: Rough ER ribosomes synthesize: Proteins present in- Mitochondria Nucleus Peroxisomes Cytosol Proteins present in- ER Golgi and Plasma membrane Secretory proteins Lysosomal enzymes